In all of the following, sympathectomy is effective except one -
1. Intermittent claudication
2. Hyperhydrosis
3. Raynaud's disease
4. Causalgia

Correct answer: 1. Intermittent claudication

Explanation: Sympathectomy is of no value in intermittent claudication as sympathectomy does not influence muscle blood flow. Blood flow in the skin but not in the muscle is controlled by sympathetic nervous system. If the arterial supply is inadequate, ischemic changes in the skin may be relieved by sympathetic blockage but the impaired blood flow to muscles is unlikely to improve.
Possible indications for svmpathectomy.

Ischemic disorders mainly of the limbs.
Buerger's ds.
Raynand's ds.
Arterial injury or embolism
Acrocyanosis
Erythrocyanosis
Frost bite
Hyperhydrosis
Causalgia
Visceral pain
For healing of an amputation stump
Atherosclerotic ischemia of limb